As a general rule, veins carry
1. Urine
2. Lymph fluid
3. Oxygenated blood
4. Deoxygenated blood

Correct answer: 4. Deoxygenated blood

Explanation: All veins carry deoxygenated blood from the body to the heart with the exception of the pulmonary vein
which carries oxygenated blood from the lungs to the heart.